Rosette-shaped cataract most commonly involves:
1. Anterior cortex
2. Posterior cortex
3. Both of the above
4. None of the above

Correct answer: 2. Posterior cortex

Explanation: Ans. Posterior cortex